Regan enzyme is an isoenzyme of ?
1. LDH
2. Creatinine kinase
3. Acid phosphatase
4. Alkaline phosphatase

Correct answer: 4. Alkaline phosphatase

Explanation: Ans. is 'd' i.e., Alkaline phosphataseRegan enzyme (isoenzyme) is the isoenzyme of alkaline phosphatase.It arises from placenta know as carcinoplacental enzyme.It is elevated in about 15% fo cases of carcinoma of lung, liver and gut.